The hodgkins lymphoma subtype that particularly involve the anterior mediastinum is:
1. Lymphocyte predominant
2. Lymphocyte depleted
3. Nodular sclerosing
4. Mixed cellularity

Correct answer: 3. Nodular sclerosing

Explanation: Hodgkin's disease: The nodular sclerosing subtype, often involves the anterior mediastinum. Nodular sclerosis is most common in young adults, especially women. This type often involves the lymph nodes in the mediastinum (chest). Lymphocyte-rich: It is more common in men and usually involves areas other than the mediastinum. Mixed cellularity: occurs in older adults and, commonly, in the abdomen. Lymphocyte-depleted is the least common subtype it is common in older adults, people with the human immunodeficiency virus (HIV, the virus that causes autoimmune deficiency syndrome or AIDS), and people in nonindustrial countries. The lymph node contains almost all Reed-Sternberg cells. Ref: Harrison, E-18, Chapter e-20